Which of the following is the preformed toxin involved in mechanism of allergic rhinitis ?
1. Histamine
2. Leukotriene
3. TXA2
4. PGD2

Correct answer: 1. Histamine

Explanation: Ans. is 'a' i.e., Histamine